Which is the most frequent pulmonary pathogen causing recurrent pneumonia in cystic fibrosis?
1. Pseudomonas
2. Enterococci
3. Streptococci
4. Klebsiella

Correct answer: 1. Pseudomonas

Explanation: Cystic fibrosis has a high prevalence of airway colonization with Staphylococcus aureus, Pseudomonas aeruginosa and Burkholderia cepacia. The CF airway epithelial cells or surface liquids provide a favorable environment for harbouring these organisms. P. aeruginosa undergo a mucoid transformation in the CF airways-generates a biofilm that provides a hypoxic environment and thereby protects Pseudomonas against antimicrobial agents.